Proprioception sensation is carried by
1. Anterior spinothalamic tract
2. Medial lemniscal system
3. Lateral spinothalamic tract
4. Spino lemniscal system

Correct answer: 2. Medial lemniscal system

Explanation: Medial lemniscal system or Dorsal column system carries sensation of Fine touch, two-point discrimination, vibrates, Proprioception, Stereognosis.